Hemopericardium is seen in
1. Chest injury
2. MI
3. Ruptured aortic aneurysm
4. All

Correct answer: 4. All